Which of the following is not a risk factor for the development of diabetes mellitus?
1. Sedentary life style
2. Protein energy malnutrition in infancy
3. Excessive intake of alcohol
4. High intake of vitamin A

Correct answer: 4. High intake of vitamin A

Explanation: Common environmental risk factors for Diabetes: 1. Sedentary lifestyle2. Diet: High saturated fat intake 3. Malnutrition: Malnutrition (PEM) in early infancy and childhood may result in partial failure of beta cell function.4. Excessive alcohol intakeRef: Park; 23rd ed; Pg 394